All of the following are known side effects with the use of tocolytic therapy except:
1. Tachycardia
2. Hypotension
3. Hyperglycemia
4. Fever

Correct answer: 4. Fever

Explanation: Tocolysis for pregnancies beyond 34 weeks are associated with more complications and no clear benefits in fetal status. Hence tocolysis is now limited to pregnancies before 34 weeks. Common side effects of tocolytic therapy - Hypotension Tachycardia Hyperglycemia Pulmonary edema Cardiac arrythmias Hypokalemia Neonatal arrhythmias